Discolored areas seen through the enamel in the teeth that have amalgam restorations are known as
1. Amalgam tattoos
2. Amalgam overhangs
3. Amalgam blues
4. Amalgam ditchings

Correct answer: 3. Amalgam blues